Secondary (AA) amyloid is seen in all except -
1. RA
2. TB
3. Multiple myeloma
4. RCC

Correct answer: 3. Multiple myeloma

Explanation: Robbins basic pathology 9th edition page no 155,Heading =Primary Amyloidosis Amyloidosis devolopes in only 6%to15%of patients with myeloma who have free light chains. Clearly, the presence of bence jones protiens although necessary is by itself not sufficient to produce amyloidosis. All other condition in the given questions can cause amyloidosis.